commonest site of a rodent ulcer is -
1. Limbs
2. Face
3. Abdomen
4. Trunk

Correct answer: 2. Face

Explanation: Ans. is 'b' i.e., Face o Rodent ulcer is synonymous with basal cel! carcinoma.o 90% of basal cell carcinomas are seen in the face, above a line from the corner of mouth to the lobule of ear. The commonest site is around the inner can thus of the eye (also k/a Tear cancer).o This is a typical appearance of nodular variety of Basal cell Ca.o Basal cell Ca is a locally invasive carcinoma of the basal layer of epidermis.o Its of the following 4 types :Nodular variety (most common type) - is characterized by a small slow growing pearly nodule, often with small telengiectatic vessels on its surface. Central depression with umblication is classic sign.Pigmented BCC - This is pigmented variant of nodular variety and thus mimick malignant malanoma.Cystic BCCs - are more macular than other varieties andmay extend over the surface of the skin in a multicentric pattern. The centre can ulcerate. These lesions may appear similar to psoriasis, tenia or eczema.Other points about Basal cell carcinomaIt is the most common type of skin cancer. ( Ref: Schwartz 9th/e p. 406)Low grade malignancy.More common in fair and dry skinned people.Exposure to sunlight is an important etiological factor.Has been seen following prolonged administration of Arsenic.Spread:Basal cell ca usually spreads by local Invasion. In gradually destroys the tissues it comes in contact with, that's why it is called 'rodent ulcer',Lymphatic spread is not seen.Blood spread is also extremely rare.